Most common mass descending mass per vaginum
1. Labial cyst
2. Vaginal cyst
3. Myoma
4. Uterovaginal prolapse

Correct answer: 4. Uterovaginal prolapse

Explanation: Ans. is 'd' i.e., Uterovaginal prolapseMass descending per vaginum is a common gynaecological complaint and is most often due to uterovaginal prolapse.